Myelination of optic nerve begins at what gestational age-
1. 2 month
2. 4 month
3. 5 month
4. 7 month

Correct answer: 4. 7 month

Explanation: Ans. is 'd' i.e., 7 months o Myelination of optic nerves starts between 6 and 8 months of gestational age.o Myelination of the optic nerves begins at the lateral geniculate nucleus, reaching the orbital part of the optic nerve at term, and continues over the following 2 years postnatally.o Myelination of geniculostriate pathway begins in the 10th fetal month and is fully mature about 4 months postnatally.o The rate of myelination appears to be hastened by light exposure. Thus, preterm infant, on reaching chronological term, has more advanced myelination than a full-term newborn.